Incubation period of plasmodium vivax is -
1. 5-7 days
2. 7-10 days
3. 8-17 days
4. 15-30 dasy

Correct answer: 3. 8-17 days

Explanation: Incubation period For falciparum malaria : 9-14 days Vivax malaria : 8-17 days Quartan malaria : 18-40 days Ovalr malaria : 16-18 days Ref: PARK'S TEXTBOOK OF PREVENTIVE AND SOCIAL MEDICINE 23rd edition , page 260